All are seen in Klinefelter syndrome, except:
1. Intellectual disability
2. Male phenotype
3. Azoospermia
4. Low FSH level

Correct answer: 4. Low FSH level

Explanation: Ans. Low FSH level